Stage 1 cutaneous T cell lymphoma treatment is –
1. PUVA
2. Biological response modifiers
3. Systemic chemotherapy
4. Extracorporeal photopheresis

Correct answer: 1. PUVA

Explanation: Treatment of mycosis fungoides (Cutaneous T-cell lymphoma).

Patch stage (stage I) : - Topical steroids, UVB, PUVA.
Plaque stage (stage II) : - Electron beam therapy, PUVA, Topical nitrogen mustard.
Tumor stage (stage III) : - Low dose radiation, chemotherapy.